All of the following structures are analogus except:
1. Labia majora and scrotum
2. Labia minora and penile urethra
3. Epoophron and caudal end of wolffian duct
4. Clitoris and glans penis

Correct answer: 3. Epoophron and caudal end of wolffian duct